Septic tank is used for:
1. Excreta disposal
2. Storage of instruments
3. Prevent contamination of water
4. Composting

Correct answer: 1. Excreta disposal

Explanation: Ans: a (Excreta disposal) Ref: Park 19ed, p. 615(A quite simple one! 1 think no explanation is needed. Let's discuss other important related points.)Methods of excreta disposalUNSEWERED AREA1) Service type( conservatory system)2) Non service type (sanitary latrines)Borehole latrineDugwell or pit latrineWater seal type, eg: RCA type. PRA1 typeSeptic tankAqua privy3) Latrine suitable for camps and temporary useShallow trench latrineDeep trench latrinePit latrineBorehole latrineSewered areasWater cairi age system and sewage treatmenta) Primary treatmentScreeningRemoval of gritPlain sedimentationb) Secondary treatmentTrickling filterActivated sludge processc) Other methodsSea outfallRiver outfallSewage fanningOxidation pond*Trickling filter- zoological layer- smaller cities* Activated sludge process - aeration tank is the heart- for larger cities